How many antenatal visits covering the entire period of pregnancy are minimum required?
1. 3
2. 4
3. 7
4. 13

Correct answer: 2. 4

Explanation: Minimum no. of Antenatal visits required in Pregnancy : 4 1st visit - within 12 weeks, preferably as soon as the pregnancy is suspected, for registration of pregnancy and first antenatal check-up. 2nd visit between 14 and 26 weeks POG. 3rd visit - between 28 and 34 weeks POG. 4th visit - between 36 weeks - Delivery Recommended Antenatal visits: 13-14 0-7 months = once a month = 7 visits 8th month = twice a month = 2 visits 9th month onwards = one visit/ week =4-5 visits Post natal visits: 3-4 3 in institutional delivery- Day 3,7,42 4 in home delivery- Day 1,3,7,42